When an H.O.D scolds a PG, he shows anger on house surgeon this is
1. Displacement
2. Repression
3. Projection
4. Sublimation

Correct answer: 1. Displacement

Explanation: Displacement is the redirection of an impulse (usually aggression) onto a powerless substitute target. The target can be a person or an object that can serve as a symbolic substitute. this is a type of neurotic defence mechanism defence mechanism is the most repeated questions in entrance examination Ex: Someone who is frustrated by his or her superiors may go home and kick the dog, beat up a family member.